True about Larynegeal mask airway – a) More reliable than face maskb) Prevent aspirationc) Alternative to Endotracheal tube (E.T.T)d) Does not require laryngoscope & visualisatione) Can be used in full stomach
1. acd
2. ad
3. bc
4. bde

Correct answer: 1. acd

Explanation: LMA is intermediate between the face mask and Endotracheal intubation in terms of reliability, invasiveness and facilitation of gas exchance (face mask has minimum and endotracheal intubation has maximum).
LMA does not prevent aspiration -4 should not be used in full stomach patients.
LMA can be used as an alternative to endotracheal intubation for minor surgeries, where anaesthetist wants to avoid intubation.
LMA is introduced blindly (without laryngoscopy).